All of the following movements occur during abduction of shoulder, except:
1. Elevation of humerus
2. Axial rotation of clavicle
3. Medial rotation of scapula
4. Acromioclavicular joint movement

Correct answer: 3. Medial rotation of scapula

Explanation: Abduction of shoulder is associated with lateral rotation of scapula. Ref: Gray's Anatomy, 36th Edition, Page 458, 459; Gray's Anatomy, 39th Edition, Page 829, 830; Gray's Anatomy, 40th Edition, Page 806; Snell's Anatomy, 8th Edition, Page 465, 466